Enzyme causing covalent bond cleavage without hydrolysis ?
1. Lyase
2. Ligase
3. Hydrolase
4. Transferase

Correct answer: 1. Lyase

Explanation: Cleavage by hydrolysis (addition of water) -p Hydrolases
Cleavage without hydrolysis (without addition of water) —> Lyases